In pregnancy, neural tube defect arises in the fetus due to deficiency of which of the following in the mother?
1. Vitamin
2. Folic Acid
3. Vitamin A
4. Vitamin C

Correct answer: 2. Folic Acid

Explanation: Ans. (b) Folic AcidRef: Harpers Biochemistry 30th edn. /299, 559-560, 26th edn./494